Honey comb lung appearance is seen in
1. Consolidation
2. Alveolar cell carcinoma
3. Scleroderma
4. Pulmonary edema

Correct answer: 3. Scleroderma

Explanation: Honey comb lung
Histiocytosis-x, scleroderma, Rheumatoid arthritis, ILD, TB.